A patient came with lower chest trauma with pain in abdomen. His BP is 60/40 pulse 120 next best investigation
1. CT abdomen
2. USG FAST
3. MR Angiography
4. X-ray abdomen

Correct answer: 2. USG FAST

Explanation: Answer- B. USG FASTUSG is the investigation of choice in both stable as well as unstable patients."Blunt abdominal trauma initially is evaluated by FAST examination in most major trauma centers"